Drug used for post-operative shivering ?
1. Atropine
2. Pethidine
3. Thiopenone
4. Suxamethonium

Correct answer: 2. Pethidine

Explanation: Ans. is 'b' i.e., Pethidine Post-anaesthesia shivering (PAS) Post anaesthesia (post operative) shivering occurs in 40% of patients recovering from general anaesthesia. Some time it is preceded by central hypothermia and peripheral vasoconstriction, indicating that it is a thermoregulatory mechanism. Pethidine is most effective drug for treatment of PAS. Other drugs used are -clonidine, doxapram, ketanserin, alfentonil, butorphanol, chlorpromazine.